Colliquative necrosis is seen in?
1. Arthus phenomenon
2. Malignant hypertension
3. Tuberculoma
4. Lung abscess

Correct answer: 4. Lung abscess

Explanation: Liquefaction or colliquative necrosis also occurs commonly due to ischaemic injury and bacterial or fungal infections but hydrolytic enzymes in tissue degradation have a dominant role in causing semi-fluid material. The common examples are infarct brain and abscess cavity.